Cotton wool spots of Hypertensive retinopathy is present in
1. Retinal pigment epithelium
2. Nerve fibre layer
3. Ganglionic cell layer
4. Internal limiting membtane.

Correct answer: 2. Nerve fibre layer

Explanation: Flame shaped hemorrhages & cotton wool spots are present in nerve fibre layer.